Which antibody has maximum concentration in GI secretions
1. IgG
2. IgM
3. IgA
4. IgD

Correct answer: 3. IgA

Explanation: IgA antibody

It is the second most abundant antibody (after IgG).
It is major immunoglubulin in clostrum, saliva, tears, respiratory and gastrointestinal secretions.
IgA occurs in two forms.